Organ of corti is located IN-
1. Membranous labyrinth
2. Bony Labyrinth
3. Middle ear
4. Medulla oblongata

Correct answer: 1. Membranous labyrinth

Explanation: Ans. is 'a' i.e., Membranous labyrinth o Organ of corti is located on Basilar membrane of cochlear duct, which is a part of membranous labyrinth.